Cholinomimetic drugs can be used for the treatment of all the following conditions EXCEPT:
1. Closed angle Glaucoma
2. Bradycardia
3. Cobra bite
4. Myasthenia gravis

Correct answer: 2. Bradycardia

Explanation: Anticholinergic drugs are used to treat a variety of conditions: Gastrointestinal disorders (e.g., peptic ulcers, diarrhea, pylorospasm, diverticulitis, ulcerative colitis, nausea, and vomiting) Genitourinary disorders (e.g., cystitis, urethritis, and prostatitis) Respiratory disorders (e.g., asthma, chronic bronchitis, and chronic obstructive pulmonary disease ) Sinus bradycardia due to a hypersensitive vagus nerve. Insomnia, although usually only on a short-term basis. Dizziness (including vertigo and motion sickness-related symptoms) Anticholinergics generally have antisialagogue effects (decreasing saliva production), and most produce some level of sedation, both being advantageous in surgical procedures. Ref-KDT 7/e p200